Posterior cruciate ligament prevents the following action of the tibia on femur?
1. Anterior dislocation
2. Posterior dislocation
3. Rotation
4. Limit hyperflexion

Correct answer: 2. Posterior dislocation

Explanation: Functions of posterior cruciate ligament:Stabilises kneePrevents posterior dislocation of the tibia on femurLimits hyper extension of knee only if the anterior cruciate is rupturedFunction of ACL: Prevents anterior dislocation of the tibia on femur Ref: BDC, 4th Volume, 2/145